Coffee bean sign is a radiologic finding in which of the following abdominal condition?
1. Ileocaecal TB
2. Sigmoid volvulus
3. Ulcerative colitis
4. Crohn's disease

Correct answer: 2. Sigmoid volvulus

Explanation: Volvulus refers to torsion of the bowel. It most commonly occurs in the sigmoid colon or caecum of constipated elderly adults who have redundant loops of colon on a long mesentery and are therefore at risk of the colon twisting around its mesenteric axis. Coffee bean sign is a radiologic feature of sigmoid volvulus which occur when two grossly distended loops of bowel are closely apposed their compressed medial walls forms a central cleft resembling o coffee bean. Other abdominal X ray features of volvulus are: Grossly distended inverted U shaped loop of sigmoid colon extending from the pelvis to the diaphragm with a curved inner colonic wall. RUQ pointing loop suggests sigmoid volvulus and LUQ pointing loop suggests cecal volvulus. Loss of haustral folds due to distention. Ref: Radiology at a Glance By Rajat Chowdhury, page 43.